Most common type cancer gallbladder in a patient with gallstones
1. Adenocarcinoma
2. squamous carcinoma
3. Adenosquamous carcinoma
4. Liposarcoma

Correct answer: 1. Adenocarcinoma

Explanation: The most common cancer in a patient with gallstones is adenocarcinoma(90%).Occasionally squamous cell carcinoma,adenosquamous or carcinoid tumour can occur. Reference: SRB's manual of surgery,5th edition, page no.659